Which of the following is the most common central nervous system parasitic infestation-
1. Echinococcosis
2. Sparganosis
3. Paragonimiasis
4. Neurocysticercosis

Correct answer: 4. Neurocysticercosis